Blood is of fetal origin in:
1. Placenta previa
2. Abruptio placentae
3. Vasa previa
4. Placenta accreta

Correct answer: 3. Vasa previa

Explanation: Ans. C i.e. Vasa previa